Allanto-enteric diverticulum is formed by the outgrowth of-
1. Yolk sac
2. Amnion
3. Intra-embryonic coelom
4. Extra-embryonic coelom

Correct answer: 1. Yolk sac

Explanation: (A) (Yolk sac):Allantoic diverticulum* Before the formation of the tail fold, a small endodermal diverticulum called the allantoic diverticulum arise from the Yolk Sac near the caudal end of the embryonic disc. This diverticulum grows into the mesoderm of the connecting stalk (figure A). After the formation of the tail fold part of this diverticulum is absorbed into the hindgut. It now passes from the ventral side of the hindgut into the connecting stalk (figure B), we will refer to it again while considering the development of urinary bladder**Allantoic diverticulum, and its relationship to the connecting stalk